Recyclable waste products disposition is done in _________colored bags.
1. Blue
2. Black
3. Red
4. Yellow

Correct answer: 3. Red